Which of the following drug is a long acting beta–2 agonist ?
1. Albuterol
2. Salmeterol
3. Pirbuterol
4. Orciprenaline

Correct answer: 2. Salmeterol